Which of the following better correlates with Sullivan's index:
1. Infant mortality rate
2. Life expectancy at the age of one
3. Per capita income
4. Numbers of years lived without disability

Correct answer: 4. Numbers of years lived without disability

Explanation: Ans. D: Numbers of years lived without